Defense Mechanism which explains “compulsions” in a patient of obsessive compulsive disorder?
1. Reaction formation
2. Regression
3. Undoing
4. Displacement

Correct answer: 3. Undoing

Explanation: Undoing explains compulsions in patients of obsessive compulsive disorder